Difference in acne rosacea & acne vulgaris-
1. Pustule
2. Erythema
3. Papule
4. Absence of comedone

Correct answer: 4. Absence of comedone

Explanation: Ans. is 'd' i.e., Absence of comedone